All of the following antihypertensive drugs increase plasma renin activity except:
1. Clonidine
2. Hydralazine
3. Nifedipine
4. Captopril

Correct answer: 1. Clonidine